Aschoff bodies are seen in
1. Arrhythmogenic right ventricular cardiomyopathy
2. Kawasaki disease
3. Rheumatic heart disease
4. Infective endocarditis

Correct answer: 3. Rheumatic heart disease

Explanation: Aschoff bodies are pathognomonic of Rheumatic heart disease.